Framingham heart study (CHD study) is a type of:
1. Cohort study
2. Case control study
3. Cross sectional study
4. Ecological study

Correct answer: 1. Cohort study

Explanation: Framingham Heart study: Is a classical example of Cohort study. Initiated in 1948 by US public health service at Framingham, a town in Massachusetts, USA. Aim: To study the relationship of risk factors (serum cholesterol, blood pressure, weight, smoking) to the subsequent development of Cardiovascular diseases. Sample size of 4469 individuals between age of 30-62 years is taken. Checks incidence of CHD every 2 years.